APGAR scale in infant measures
1. Respiratory, Neurological, and Circulatory system
2. Respiratory, Neurologic, renal system
3. Neurological, renal, digestive system
4. Respiratory, Neurological and digestive system

Correct answer: 1. Respiratory, Neurological, and Circulatory system